A child during anesthesia with Halothane and succincyl coA develops severe stiffness of masseters. What is the most probable diagnosis?
1. Neuroleptic malignant syndrome
2. Malignant hyperthermia
3. Anaphylaxis
4. Halothane hepatitis

Correct answer: 2. Malignant hyperthermia

Explanation: Malignant hyperthermia is a condition that triggers a severe reaction to certain drugs used as part of anesthesia for surgery. Without prompt treatment, the disease can be fatal. The genes that cause malignant hyperthermia are inherited. In most cases, no signs or symptoms of the condition exist until you are exposed to anesthesia. Malignant hyperthermia is a genetic(autosomal dominant) hypermetabolic muscle disease. Triggering agents include Inhaled general anesthetics Ether Halothane Methoxyflurane Enflurane Isoflurane Desflurane Sevoflurane Depolarizing muscle relaxants Succinylcholine